Rorschach test is done with
1. Symmetric ink blots
2. Asymmetric ink blots
3. Counting numbers backwards
4. Subtractions with odd numbers

Correct answer: 1. Symmetric ink blots

Explanation: The Rorschach Inkblot Test is a projective psychological test consisting of 10 symmetric inkblots printed on cards (5 colour and 5 black and white). This test is often employed in diagnosing underlying thought disorders and differentiating psychotic from non-psychotic thinking Ref: Kaplon and sadock, 11 th edition, synopsis of psychiatry, 11 th edition, pg no. 217